Hemopericardium is seen in-
1. Chest injury
2. MI
3. Ruptured Aortic aneurysm
4. All

Correct answer: 4. All

Explanation: Ans. (d) All(Ref: Robbins 9th/pg 573-574; 8th/pg 581 -82)Hemopericardium; CausesCardiac rupture after transmural myocardial infarction (especially day 5)Aortic aneurysm rupture, chest trauma, anticoagulation, leukaemia and TB Pericarditis